Maximum score that can be obtained in MMSE is
1. 13
2. 30
3. 47
4. 55

Correct answer: 2. 30

Explanation: Mini-Mental State Examination : The MMSE is an 11-question measure developed to asses a broad array of cognitive function including orientation, attention, memory, construction, and language. Its validity and inter-rater reliability is good, takes only 5-10 minutes to administer, practical to use repeatedly and routinely. For screening, a cut-off of 24 for identifying cases of dementia has been suggested. The maximum score is 30. A score of 23 or lower is indicative of cognitive impairment. * MMSE( MINI MENTAL STATUS EXAMINATION) * MCI demtia===score less than. 24 * MILDdemntia====score less than. 20 * MODERATE demntia==score less than. 18 * SEVERE dementia====score less than 10 Reference: Page NO.1053 Chap 7.10 Psychiatric Rating Scales(Kaplan & Sadock's Comprehensive Textbook of Psychiatry, 9th Edition)